Banana sign on USG is seen in :
1. Arnold Chiari malformation
2. Holoprosencephaly
3. Dandy walker malformation
4. Anencephaly

Correct answer: 1. Arnold Chiari malformation

Explanation: Compression or flattening of the posterior cerebellar surface making a crescentic appearance (banana sign) is seen in open spina bifida and Arnols Chairi's malformation. Reference: Dutta's Textbook of Obstetrics 7th edition page no 647